Which of these is the ideal method of removal of placenta after delivery in routine delivery cases?
1. Manual removal of placenta after delivery of baby
2. spontaneous separation of placenta or by controlled cord traction
3. Immediate & firm traction of cord after delivery of baby
4. Crede's method (Fundal pressure squeezing uterus to help placentalseparation anddelivery)

Correct answer: 2. spontaneous separation of placenta or by controlled cord traction

Explanation: Removal of placenta must be done by controlled cord traction (Brandt and Andrews method) or waiting for spontaneous placental separation. Excessive cord traction may inadvertently cause uterine inversion. Credes method is obsolete because of high risk of retention of placental bits.